All of the following statement are true about Bacterial vaginosis EXCEPT:
1. Cause by gardenella vaginalis
2. Fishy odor upon whiff test
3. Infection seen when vaginal pH is < 4.5
4. It is not an STD

Correct answer: 3. Infection seen when vaginal pH is < 4.5

Explanation: Ans. (c) Infection seen when vaginal pH is < 4.5Ref Shaws 15th ed, pg: 308-310* After reading this question, usually we get this tendency to mark option D, which says bacterial vaginosis is NOT a STD, but this statement is true.* Bacterial vaginosis is a vaginal infection casued by Gardenella vaginalis.* Bacterial vaginosis is diagnosed on the basis of the following findings:# Vaginal secretions are gray and thinly coat the vaginal walls.# The pH of these secretions is higher than 4.5 (usually 4.7 to 5.7).# Microscopy of the vaginal secretions reveals an increased number of clue cells, and leukocytes are conspicuously absent.# The addition of KOH to the vaginal secretions (the "whiff" test) releases a fishy, amine-like odor.Also Know* Most common vaginal infectionscluringj pregnancy is candidiasis* Bacterial vaginosis (BV) is the most common vaginal infection in women of childbearing age I* Genital human papillomavirus the most common sexually transmitted infection.